Zidovudine toxicity is increased by all except
1. Azithromycin
2. Probencid
3. Cisplatin
4. Cyclophosphamide

Correct answer: 1. Azithromycin